Which of the following is not a disadvantage of anatomic teeth?
1. Use of an adjustable articulator is mandatory
2. Eccentric records must be made for articulator adjustments
3. Harmonious balanced occlusion is lost when settling occurs
4. Masticatory eﬃciency is decreased once balanced occlusion is established

Correct answer: 4. Masticatory eﬃciency is decreased once balanced occlusion is established

Explanation: Advantages

They are more efficient in cutting and grinding food, so, less masticatory effort and forces are needed.
Balanced occlusion can be achieved in eccentric jaw positions (Protrusive, right lateral and left lateral movement).
The cusp-fossa relationship helps to guide the mandible into centric occlusion.
Aesthetically and psychologically acceptable.
The physical contours closely resemble natural teeth and hence, they are more compatible to the oral environment. The disadvantages of these teeth are that they magnify the horizontal forces acting on the ridge and the ‘teeth setting’ is very crucial to obtain proper occlusion (i.e. they should be placed in specified positions).

Key Concept:
One of the advantages of anatomic teeth is their superior masticatory eﬃciency over other forms of teeth.
Ref: Textbook of prosthodontics by Nallaswamy Ed 2nd Pg 8